Smack is
1. LSD
2. Cocaine
3. Cannabis
4. Heroin

Correct answer: 4. Heroin

Explanation: Smack is synthetic opioid Ref : Krishnan vij Textbook of Forensic medicine and Toxicology 5th edtion ; pg no - 492